All of these are complications of Hysterectomy Except
1. Ureteric Injury
2. Bladder Hypertonia
3. Vault Prolapse
4. Cuff dehiscence

Correct answer: 2. Bladder Hypertonia

Explanation: Complications of Hysterectomy Hemorrhage Wound Infection Cuff Cellulitis Urinary retention due to Bladder Hypotonia (NOT hypertonia) Stress urinary incontinence Prolapse of vault Cuff dehiscence Uretric/ Bladder / Bowel injuries